Hoffman Tinel sign is seen in?
1. Deep Vein Thrombosis
2. Nerve regeneration
3. Pulmonary embolism
4. Upper motor neuron lesion

Correct answer: 2. Nerve regeneration

Explanation: Ans. (b) Nerve regenerationRef.: Bailey & Love 26th ed. 1471* Hoffman Tinel sign is seen in nerve regeneration and should not be confused with Homan sign seen in deep vein thrombosis.* Hoffman reflex is elicited by a reflex test which verifies the presence or absence of lesions in the cortico-spinal tract. It is also known as the finger flexor reflex. The test involves tapping the nail or flicking the terminal phalanx of the middle or ring finger. A positive response is seen with flexion of the terminal phalanx of the thumb.